All of the following antibacterial agents act by inhibiting cell wall synthesis EXCEPT:
1. Carbapenems
2. Monobactams
3. Cephalosporins
4. Nitrofurantoin

Correct answer: 4. Nitrofurantoin

Explanation: Inhibit cell wall synthesis: Penicillin Cephalosporins, Cycloserine, Vancomycin Bacitracin. Nitrofurantoin(urinary antiseptic) It is primarily bacteriostatic, but may be cidal at higher concentrations and in acidic urine: its activity is enhanced at lower pH. It inhibits many gram-negative bacteria . Resistance to nitrofurantoin develops slowly and no cross resistance with any other AMA is known. It antagonizes the bactericidal action of nalidixic acid .Susceptible bacteria appear to enzymatically reduce nitrofurantoin to generate reactive intermediates which damage DNA. ESSENTIALS OF MEDICAL PHARMACOLOGY K.D.TRIPATHI SIXTH EDITION PAGE NO:688,735